All are associated with superior relation of uncinate process, EXCEPT:
1. Ethmoid
2. Nasal septum
3. Lamina papyracea
4. Middle turbinate

Correct answer: 2. Nasal septum

Explanation: Uncinate process: The uncinate process is a superior extension of the lateral nasal wall (medial wall of the maxillary sinus). It attaches,anteriorly to the posterior edge of the lacrimal bone, and inferiorly to the superior edge of the inferior turbinate. Superior attachment of the uncinate process is highly variable, may be attached to the lamina papyracea, or the roof of the ethmoidal sinus, or sometimes to the middle turbinate. The gap between the ethmoid bulla and the free edge of the uncinate process is the hiatus semilunaris.